All of the following can be administrated in acute hypertension during labour EXCEPT:
1. IV Labetatol
2. IV Nitroprusside
3. IV Hydralazine
4. IV Esmolol

Correct answer: 2. IV Nitroprusside

Explanation: Sodium Nitroprusside can cause severe hypotension. It is a powerful arteriolar and venodilator. It dilates blood vessels due to the release of NO -nitric oxide or EDRF It is contraindicated in eclampsia Sodium nitroprusside, though useful for HTN emergencies, is not suitable for pregnant women. (Ref- Essential of medical pharmacology K D TRIPATHI 8th Edition)